Swinging flash light test is used to examine:
1. Cornea
2. Pupil
3. Lens
4. Conjunctiva

Correct answer: 2. Pupil

Explanation: Pupil